Human metapneumovirus is structurally similar to:
1. Influenza virus
2. Respiratory syncytial virus
3. Measles virus
4. Rubella virus

Correct answer: 2. Respiratory syncytial virus

Explanation: Ans. b. Respiratory syncytial virus